True about atrioventricular groove are all EXCEPT
1. Contains left anterior descending coronary artery
2. Also called coronary sulcus
3. Contains right coronary artery
4. Contains circumflex branch of left coronary artery

Correct answer: 1. Contains left anterior descending coronary artery

Explanation: AV groove is aka coronary sulcus & it separates the atria from the ventricles. It contains the RCA on the right & the circumflex branch of left coronary artery on the left.